Nerve supply of skin around the umbilicus is
1. T8
2. T9
3. T10
4. T11

Correct answer: 3. T10

Explanation: A dermatome is an area of skin that is mainly supplied by a single soinal nerve. There are 8 cervical nerves (C1 being an exception with no dermatome), 12 thoraxic nerves, 5 lumbar nerves and 5 sacral nerves. Each of these nerves relays sensation (including pain) from a particular region of skin to the brain.A dermatome also refers to the part of an embryonic somite. T10 pertains to umblicus Ref - BDC 6e vol2 pg 198-200